Contraindicated in Androgenic Alopecia –
1. Testosterone
2. Minoxidil
3. Cyproterone
4. Finasteride

Correct answer: 1. Testosterone

Explanation: Testosterone (androgens) is the cause of androgenic alopecia. So, antiandrogens are used (not androgens).